Granular deposit of IgA at dermoepidermal junction is seen in ?
1. Pemphigus vulgaris
2. Bullous pemphigoid
3. Dermatitis herpatiformis
4. Pemphigus foliaceous

Correct answer: 3. Dermatitis herpatiformis

Explanation: Ans. is 'c' i.e., Dermatitis herpatiformis Immunopathological appearance of vesicobullous disorders Bullous pemphigoid - Linear band of IgG or C3 in epidermal basement membrane Pcmphigus vulgaris - Cell surface deposits of IgG on keratinocytes Pemphigus foliaceous - Cell surface deposits of IgG on keratinocytes --> Pemphigoid gestationis - Linear band of C3 in epidermal basement membrane zone Dermatitis herpeteformis - Granular deposits of IgA in dermal papillae --> Chronic bullous disease of childhood - IgA deposits along the dermoepidermal junction Linear IgA dermatosis of adults - Linear deposits of IgA at dermoepidermal junction